Vasoconstrictor anong these -
1. NO
2. PGI2
3. Angiotensin-II
4. ANP

Correct answer: 3. Angiotensin-II

Explanation: Ans. is 'c' i.e., Angiotensin-IIo Important chemical regulator of CVS are :Vasoconstrictors : Noradrenaline, Adrenaline, ADH (vasopressin), angiotension II, Endothelins, PGF2, thromboxane A2.Vasodilators: Kinins (Bradykinin, lysyl-bradykinin), PGE2 PGI2 (prostacyclin). VIP, ANP, Nitric oxide (NO).